All the following can be seen in Axenfeld's anomaly, except
1. Ectopia of the lens
2. Glaucoma
3. Iris synechiae to Schwalbe's line
4. Posterior embryotoxon

Correct answer: 1. Ectopia of the lens

Explanation: Glaucoma associated with iridocorneal dysgenesis. These include: posterior embryotoxon characterised by a prominent Schwalbe's ring (Axenfeld anomaly). Ref:- A K KHURANA; pg num:-214